Apoptosis is characterized by all of the following except -
1. DNA fragmentation
2. Chromatin condensation
3. Cell shrinkage
4. Inflammation

Correct answer: 4. Inflammation

Explanation: . Inflammation